Nitric Oxide synthesised from:
1. Arginine
2. Citrulline
3. Alanine
4. Cysteine

Correct answer: 1. Arginine

Explanation: Ans. A. ArginineSynthesis of Nitric Oxide